The low pressure receptors are
1. Affected by cardiac output
2. Stimulated by atrial systole and diastole
3. Stimuation by left ventricular contraction
4. Stimulated by aortic pressure

Correct answer: 2. Stimulated by atrial systole and diastole

Explanation: The low-pressure receptors are stimulated by atrial systole and diastole.. The low-pressure receptors are those in the great veins, right and left atria and pulmonary vessels. Atrial stretch receptors are of two types: Type A: discharge primarily during atrial systole . Type B: discharge primarily during late diastole. Distension of the atrial walls - stimulation of atrial receptors - vasodilatation, fall in BP and increased heart rate. Ref: Ganong review of Medical Physiology 26th edition Pgno: 577,578